Peri - orbital view x- ray is for
1. Orbital fissure
2. Pterion
3. Internal auditory meatus
4. Zygoma

Correct answer: 3. Internal auditory meatus